Uterine sarcomas constitute about.................................... % of all malignant growth of uterus :
1. 5
2. 10
3. 15
4. 20

Correct answer: 1. 5

Explanation: Ans. is a i.e. 5% Uterine sarcomas are rare tumors comprising 4.5 % of all malignant growths of uterus. The tumour arises most frequently in female between 40 - 50 years, rare before 30 years. Types of Sarcomas : Intramuraldeg - tumour arises in the myometrium (most common) - Consistency is soft and friable. The cut surface shows haemorrhagic and irregular margins. There is no whorl appearance nor any capsule. Tumors with > 10 mitosis figures/10 hpf have poor prognosis. Mucosaldeg -Tumour arises in the endometrium. Tumour arising in pre-existing myoma. Rare - grape like sarcoma of cervix. Most common form of sarcoma uterus _Intramural type.deg Most common form of histological form -Spindle cell tumor.deg Rapid enlargement of a quiescent myoma in a female of postmenopausal age is almost pathognomonic of sarcomatous change. Spread - Most common is blood borne. Others lymphatic spread / Direct invasion. Symptoms : Irregular premenopausal/postmenopausal bleed Abnormal, offensive watery vaginal discharge Abdominal pain Pyrexia / weakness. Treatment : - TAH with BSO followed by full course of radiation therapy.deg - If cervix is involved - Radical hysterectomy should be done.deg - Prognosis depends on type of growth - worst in round cell variety where growth originates in the endometrium.deg - 5 years cure rate = 10 - 30 %.